Which of the following doesn't worsen angina?
1. Sumatriptan
2. Oxyfedrine
3. Dipyridamole
4. Thyroxine

Correct answer: 2. Oxyfedrine

Explanation: Ans. is 'b' i.e., Oxyfedrine Drugs that exacerbate Angina o Amphetamines o Alpha blocker o Beta agonists o Beta blockers withdrawal o Dipyridamol o Vasopressin o Ergotamine o Decongestants o Excessive thyroxine o Hydralazine o Methysergide o Minoxidil o Nifedipine o Nicotine and cocaine o Oxytocin o Sumatriptan o Theophylline